A 4-year-old child is admitted with fever, non-purulent conjunctivitis, rashes, cervical lymphadenopthy, hepatomegaly and desquamation of fingers and toes. Echocardiography shows coronary artery aneurysm. What is the most likely diagnosis?
1. Measles
2. German measles
3. Progeria
4. Kawasaki disease

Correct answer: 4. Kawasaki disease

Explanation: Ans. is 'd' i.e., Kawasaki disease